Normal finding in term neonate-
1. Erythema toxicum
2. Ebstein's pearl
3. Subconjunctival hemorrhages
4. All

Correct answer: 4. All

Explanation: Ans. is 'a' i.e., Erythema toxicum; 'b' i.e., Ebstein pearls; 'c' i.e., Subconjunctival haemorrhage